9 year old child, fever with pain and swelling in midthigh, lamellated appearance and codman triangle, small round cell tumor positive for mic2
1. Osteosarcoma
2. Osteomyelitis
3. Ewing's sarcoma
4. Mutiple myeloma

Correct answer: 3. Ewing's sarcoma